Granuloma inguinale is caused by
1. H. ducreyi
2. Chlamydia trachomatis
3. Treponema pallidum
4. Calymmatobacterium

Correct answer: 4. Calymmatobacterium

Explanation: Granuloma venereum (granuloma inguinale) → caused by Calymmatobacterium granulomatosis.
Lymphogranuloma venereum (lymphogranuloma inguinale) →  Caused by chlamydia trachomatis (serotypes L1, L2, L3).